Autoclaving is done in
1. Dry air at 12oC and 15 psi
2. Steam at 100oC for 30 minutes
3. Steam at 121 oC for 15 minutes
4. Dry air at 160oC for 30 minutes

Correct answer: 3. Steam at 121 oC for 15 minutes

Explanation: Moist head sterilization - Pasteurization,water bath,inspissation < 100 degree C Boiling,Steaming,Tyndallization = 100 degree C Autoclave >100 degree C Most commonly used sterilization condition for autoclave is 121 degree C for 15 min at pressure of 15 pounds.